A 20 year old female patient complains of brownish discoloration of her teeth. She has a history of frequent tea consumption. Intra-oral examination reveals brownish staining of all teeth. Patient was suggested bleaching with CO2 laser by the dentist.
However, this treatment is currently not recommended  because:
1. Alteration in color post-bleaching
2. Potential for hard and soft tissue damage
3. Chemical changes in bleaching mixture
4. Inadequate bleaching

Correct answer: 2. Potential for hard and soft tissue damage

Explanation: Use of a CO2 laser to heat the bleaching mixture and accelerate the bleaching treatment currently is not recommended according to a recent report of the American Dental Association, because of the potential for hard or soft tissue damage.
Sturdevant’s Art and Science of Operative Dentistry, Mosby, 4th Edition, Page No: 610